Lucid interval is classically seen in
1. Intracerebral haematoma
2. Acute subdural haematoma
3. Chronic subdural haematoma
4. Extradural haematoma

Correct answer: 4. Extradural haematoma

Explanation: Presentation with EDH"Textbook" presentation (<10%-27% have this classic presentation):* brief posttraumatic loss of consciousness (LOC): from initial impact* followed by a "lucid interval" for several hours* then, obtundation, contralateral hemiparesis, ipsilateral pupillary dilatation as a result of masseffect from hematomaDeterioration usually occurs over a few hours, but may take days and rarely, weeks (longer intervalsmay be associated with venous bleeding).Other presenting findings: H/A, vomit ing, seizure (may be unilateral), hemi-hyperreflexia +unilateral Babinski sign, and elevated CSF pressure (LP is seldom used any longer). Bradycardiais usually a late finding. In peds, EDH should be suspected if there is a 10% drop in hematocritafter admission.